ACE inhibitors are contraindicated in bilateral renal artery stenosis, because -
1. Angiotensin II has direct effect on GFR
2. Enhances bradykinin action
3. Hyperreninism affects renal parenchyma
4. Affects prostaglandins

Correct answer: 1. Angiotensin II has direct effect on GFR

Explanation: Ans. is 'a' i.e., Angiotensin II has direct effect on GFR o Patients with renal artery stenosis are dependent on efferent arteriolar vasoconstiction for maintenance of glomerular filtration pressure. Angiotensin II is responsible for vasoconstriction of efferent arteriole. o ACE inhibitors prevent the generation of Angiotensin II. This causes dilatation of efferent arterioles and fall in glomerular filtration pressure. This can ppt renal failure. o Therefore ACE inhibition are C/I in patients with bilateral renal artery stenosis.